Damage to which of the following hypothalamic nucleus results in hyperphagia and obesity?
1. Ventromedial nucleus
2. Dorsomedial nucleus
3. Supra-optic nucleus
4. Lateral pre-optic nucleus

Correct answer: 1. Ventromedial nucleus

Explanation: Ans. a (Ventromedial nucleus);(Ref. Guyton, Physiology, 10th ed., 805)HYPOTHALAMIC NUCLEUSFUNCTIONSTIMULATIONDESTRUCTION1Lateral nucleusFeeding centerHyperphagiaInanition2Ventromedial nucleusSatiety centerAphagiaHyperphagia3Paraventricular nucleusRegulates food intake 4Dorsomedial nucleusRegulates food intake 5Arcuate nucleusRegulates food intake